All are true regarding Early Post-cibal syndrome except:
1. Distension of abdomen
2. Managed conservatively
3. Hypermotility of intestine is common
4. Surgery is usually indicated

Correct answer: 4. Surgery is usually indicated

Explanation: Answer is D (Surgery is usually indicated) There is no role of striven., in management of post cibal syndromes. Both types of postcibal syndrome are treated by dietary measures including: - limitation of sugar containing liquids and solids, - elimination of liquids at meal time, and - eating of frequent small meals. In severe cases, symptoms may improve, with the somatostatin-analogue Octreotide. There is no role of surgery in management of post cibal syndromes.